Treatment of choice of cyanide poisoning is:
1. NaHCO3
2. KMnO4
3. NaC1
4. Sodium nitrite

Correct answer: 4. Sodium nitrite

Explanation: Sodium nitrite